Chlolinomimetics are used in:
1. Glaucoma.
2. Myasthenia gravis.
3. Post operative atony.
4. All of the Above.

Correct answer: 4. All of the Above.